Which one of the following compounds increases the synthesis of tumor necrosis factor, leading to activation of phagocytosis in patients with chronic granulomatous disease?
1. Aldesleukin
2. Cyclosporine
3. Interferon-gamma
4. Infliximab

Correct answer: 3. Interferon-gamma

Explanation: Interferon-gamma 1b (recombinant form) is used in chronic granulomatous disease to decrease infection liability because it increases the formation of tumor necrosis factor (TNF).Infliximab is a monoclonal antibody to TNF used in rheumatoid arthritis, and its use may lead to an increased infection rate. Aldesleukin is a recombinant form of IL-2.